All of the following are contents of the posterior triangle of the neck except:
1. Spinal part of accesory nerve
2. Trunks of brachial plexus
3. Internal jugular vein
4. Transverse cervical artery

Correct answer: 3. Internal jugular vein

Explanation: The posterior triangle is bounded posteriorly by the trapezius muscle, anteriorly by the sternocleidomastoid muscle, and inferiorly by the clavicle.The posterior cervical triangle is subdivided into the following triangles by the inferior belly of the omohyoid muscle:Occipital triangle, whose contents are:Nerve to rhombideusCutaneous branches of cervical plexus of nervesSpinal accessory nerveUpper part of brachial plexusTransverse cervical artery and veinCervical lymph nodesOccipital arterySupraclavicular nodesSubclavian triangle (also known as omoclavicular), whose contents are:Third part of subclavian arteryPart of subclavian veinSuprascapular artery and veinSupraclavicular lymph nodesThree trunks of brachial plexusNerve to serratus anteriorNerve to subclaviusSuprascapular nerveLower part of external jugular veinTransverse cervical artery and vein